Which immunoglobulin possess highest carbohydrate content?
1. IgG
2. IgA
3. IgD
4. IgM

Correct answer: 3. IgD

Explanation: IgD possess highest carbohydrate content.